Mesangial deposits of monoclonal Kappa/Lambda light chains is indicative of:
1. Mesangioproliferative glomerulonephritis
2. Focal and segmental glomerulosclerosis
3. Kimmelsteil-Wilson lesions
4. Amyloidosis

Correct answer: 4. Amyloidosis

Explanation: . Amyloidosis